ORS WHO glucose in mmol/L
1. 75
2. 120
3. 9
4. 111

Correct answer: 1. 75

Explanation: (A) 75 CONCENTRATIONS OF INGREDIENTS IN REDUCED OSMOLARITY ORSIngredientg/LMolecule/ionmmol/L* Sodium chloride (NaCI)2.6Sodium75* Glucose, anhydrous (C6H12O6)13.5Glucose75* Potassium chloride (KCI)1.5Potassium20* Chloride65 * Trisodium citrate, dehydrate Na3C6H5O7-2H2O2.9Citrate10